Lymphatics from the spongy urethra drain into the following lymph nodes
1. Superior inguinal nodes
2. Internal inguinal nodes
3. Deep inguinal nodes
4. Sacral nodes

Correct answer: 3. Deep inguinal nodes

Explanation: It drains into deep injuinal lymph node . Ref - bdc 6e vol2 pg376-379